Lady has bilateral hearing loss since 4 years which worsened during pregnancy. Type of impedance audiometry graph will be
1. Ad
2. As
3. B
4. C

Correct answer: 2. As

Explanation: As type is seen where compliance is lower at or near ambient air pressure. This occurs in fixation of ossicles(otosclerosis). Ref: Diseases of EAR, NOSE and THROAT by PL Dhingra 6th Edition page no.24